Drug not causing exanthematous skin eruption -
1. Phenytoin
2. Hydrocortisone
3. Ampicillin
4. Phenylbutazone

Correct answer: 2. Hydrocortisone

Explanation: Ans is 'b' i.e., Hydrocortisone Drugs causing exanthematic reactionsMost commonLess commonAmpicillin and penicillinCephalosporinsPhenylbutazone and other pyrazolonesBarbituratesSulphonamidesThiazidesPhenytoinNaproxenCarbamazepineIsoniazidGoldPhenothiazinesGentamicinQuinidineMeprobamate Atropine